Among various glands, salivary gland secretion is unique in that, its secretions are controlled by
1. Hormones
2. Nerves
3. Chemicals
4. All of the above

Correct answer: 2. Nerves